False about micro satellites is:
1. Repeat size more than 10 to 15 nucleotides
2. More prone to variation
3. Found in colonic carcinoma
4. DNA repeats present

Correct answer: 1. Repeat size more than 10 to 15 nucleotides

Explanation: Microsatellites Are 2-6 bp repeats dispersed throughout DNA but usually in non coding region :-size <1kb. Micro stability instability is hypermutable phenotype caused by the loss of DNA misatch repair activity. In patients with HNPCC, cells from resected tumor show microsatellite instability, whereas normal cell from the individual do not show microsatellite instability. Colonic carcinoma (Pathogenesis) There are the APC/b-catenin pathway, which is activated in the classic adenoma-carcinoma sequence; And the microsatellite instability pathway, which is associated with defects in DNA mismatch repair and accumulation of mutations in microsatellite repeat regions of the genome.